Method of choice to confirm H. Pylori eradication is
1. Urea breath test
2. Culture
3. Serology
4. Microscopy

Correct answer: 1. Urea breath test